All the following are features of Scleroderma except-
1. Dysphagia
2. Raynand's phenomenon
3. Skin contracture
4. Clacification in all the long bones

Correct answer: 4. Clacification in all the long bones